The "gp 120" in HIV helps in:
1. Virus attachment
2. Virus replication
3. Virus penetration
4. Virus dissemination

Correct answer: 1. Virus attachment

Explanation: Virus attachment